Pseudo-P pulmonale seen in:
1. Hypokalemia
2. Hyperkalemia
3. Hypomagnesemia
4. Hypercalcemia

Correct answer: 1. Hypokalemia

Explanation: Ref. API Textbook of Medicine. Pg. 708
 
Right atrial abnormality (P pulmonale):

ECG Findings:

Right atrial enlargement produces a peaked P wave (P pulmonale) with amplitude:
> 2.5 mm in the inferior leads (II, III and aVF)
> 1.5 mm in V1 and V2


The principal cause is pulmonary hypertension due to:

Chronic lung disease (cor pulmonale)
Tricuspid stenosis
Congenital heart disease (pulmonary stenosis, Tetralogy of Fallot)
Primary pulmonary hypertension.


A similar picture can be seen in hypokalaemia (known as “pseudo p-pulmonale”)